All of the following are true about suturing principles except:
1. Each suture should be separated by a gap that is twice the thickness of the skin
2. Suture length to wound length ratio of 4:1
3. Length to width ratio for elliptical incisions of 3:1
4. None of the above

Correct answer: 4. None of the above

Explanation: JENKIN'S RULE: Suture length: wound length ratio= 4:1 i.e If would length is X, suture length is 4X Elliptical Incision: Length: Width is 3X If width of incision is X, length is 3X. Ratio of distance between sutures: skin thickness If thickness of skin is X, distance between suture should be 2X